Hydrocution is
1. Electrocution in water
2. Dry drowning
3. Drowning in cold water
4. Postmortem immersion

Correct answer: 3. Drowning in cold water

Explanation: Immersion Syndrome (Hydrocution): Death in immersion syndrome is due to cardiac arrest as a result of vagal inhibition. It is produced by (i) Cold water stimulatung the nerve endings of the surface of the body (!!) Cold water striking the epigastrium and (!!!) Cold water entering the ear drums, mucosa of pharynx or Larynx Reff: The synopsis of forensic medicine&Toxicology 28th edition pg:191